The distance between the gingiva and the margin of the free end of the stainless steel crown should be:
1. 0.5 mm below
2. 0.5-1.0 mm below
3. 0.5 mm above
4. 0.5- 1.0 mm above

Correct answer: 2. 0.5-1.0 mm below

Explanation: The stainless steel crown should be approximately 0.5 to 1 mm beneath the free margin of the gingival tissue.